Fontana-Masson stain mainly stains   what granules  in the  cytoplasm
1. Melanin
2. Copper
3. Ferritin
4. Hemoglobin

Correct answer: 1. Melanin

Explanation: Fontana masson  stains  mainly used to detect melanin granules in cytoplasm of tumour cells  of melanoma.